Regional lymph nodes are involved in which of these -
1. Ewing sarcoma
2. Osteosarcoma
3. Adamantinoma
4. Synovial cell sarcoma

Correct answer: 4. Synovial cell sarcoma

Explanation: Usually, the sarcomas do not metastasize to the lymph nodes.
Sarcomas which metastasize to lymphatics are


Rhabdomyosarcoma          
Clear cell sarcoma       
Epithelial sarcoma
Malignant fibrous histiosarcoma
Angiosarcoma
Synovial cell sarcoma
Lymphosarcoma